Ipilimumab is monoclonal antibody against :
1. PD - L1
2. CTLA - 4
3. CD - 52
4. IL - 4

Correct answer: 2. CTLA - 4

Explanation: Ipilimumab is monoclonal antibody against CTLA-4 used in the treatment of Metastatic Melanoma.